An elderly male present with history of dysphagia, regurgitation, foul breath and cough. Bilateral lung crepitations are noted on examination. The most likely diagnosis is:
1. Schatzki's ring
2. Zenker's diverticulum
3. Corkscrew esophagus
4. Plummer-Vinson syndrome

Correct answer: 2. Zenker's diverticulum

Explanation: Ans. (b) Zenker's diverticulumRef: Sabiston 20th Edition, Pages 1020 -1022* Most common complication of Zenker's Diverticulum - Lung abscess due to aspiration* Most common symptom: Dysphagia (Not Halitosis)